Cryptomenorrhea occurs due to:
1. Imperforate hymen
2. Asherman's syndrome
3. Mullerian agenesis
4. All

Correct answer: 1. Imperforate hymen

Explanation: Ans. is a, i.e. Imperforate hymenRef: Dutta Gynae 6th/ed, p450; Shaw 15th/ed, p96-97* Cryptomenorrhea is defined as occurrence of menstrual symptoms without external bleeding.* Menstrual blood fails to come out from genital tract due to obstruction in the outflow passage.* Causes:CongenitalAcquiredImperforate hymen (commonest)Transverse vaginal septumAtresia of upper third vagina & cervixCervical stenosis following:* Amputation* Cauterization* Conization* 'Radium' treatment for malignant conditions